Conducting hearing loss with intact tympanic membrane -
1. Presbycausis
2. Meniere's disease
3. Glue ear
4. Acoustic neuroma

Correct answer: 3. Glue ear

Explanation: Ans. is 'c' i.e., Glue earo Among the given options, only glue ear (serous otitis media) is a cause of conductive deafness.Causes of conductive deafnessCongenital causeso Meatal atresiao Fixation of stapes footplateo Fixation of malleus heado Ossicular discontinuityo Congenital cholesteatomaAcquired causeso External ear:# Any obstruction in the ear canal, e.g. wax. foreign body, furuncle, acute inflammatory swelling, tumor, atresiao Middle ear :# Perforation of tympanic menibrane(traumatie or infective)# Fluid in middle ear (ASOM, serous otitis media or haemotympanum)# Mass in middle ear (tumors)# Disruption of ossicles (Trauma, CSOM, cholesteatoma)# Fixation of ossicles (otosclerosis, tympanosclerosis, adhesive otitis media)# Eustachian tube blockage (retracted tympanic membrane, serous otitis media) Congenital causes of SNHLo Treacher collin syndromeo Alport's syndromeo Pendred syndromeo Crouzon's diseaseo Bartter syndromeo Leopard syndromeo Refsum syndromeo Waardenburg syndromeo Fabry diseaseo Usher's syndromeHurler's syndromeo Klippel fed syndromeo Type 1 (distal) Renal tubular acidosiso Jervell & lange Neilson syndromeo Biotinase deficiencyo Albinismo MELASo Trisomy 13,15,21o Michel's aplasiao Mondinrs anomalyo Schibe's and Alexander's anomalieso Uhl's anomalyo Michel's aplasiao Nail - patella syndromeo Alstrom syndromeo Brachio - oto - renal (BOR)syndromeo Cockayne's syndrome Acquired causes of SNHLo Infections of labyrintho Trauma to labyrinth or VIII nerve (Head injury, surgery etc)o Noise induced hearing losso Ototoxic drugso Presbycusiso Meniere's diseaseo Acoustic neuromao Sudden bearing losso Systemic disorders(DM, Hypothyroidism, Renal disorders)o Multiple sclerosiso Smoking & Alcoholism